SSPE (subacute sclerosing panencephalitis) is associated with –
1. Mumps
2. Chickenpox
3. Herpes
4. Measles

Correct answer: 4. Measles